To keep blood pH at 7.4, the HCO3 : H2CO3 ratio should be
1. 20:01
2. 30:01:00
3. 15:01
4. 1:01

Correct answer: 1. 20:01